Nerve of the second arch is:
1. Mandibular nerve
2. Facial nerve
3. Glossopharyngeal nerve
4. Recurrent laryngeal nerve

Correct answer: 2. Facial nerve

Explanation: I arch: Mandibular division V nerve 
II Arch: Facial nerve (VII) 
III Arch: Glossopharyngeal nerve (IX nerve)  
IV arch: External laryngeal and recurrent laryngeal branches of vago-accessory complex